Angle of the neck of femur to shaft is -
1. 110°
2. 125°
3. 170°
4. 100°

Correct answer: 2. 125°